Splenomegaly is least likely associated with -
1. CML
2. Polycythemia rubra vera
3. Idiopathic myelofibrosis
4. Primary thrombocytosis

Correct answer: 4. Primary thrombocytosis

Explanation: Splenomegaly is seen in CML,polycythemia vera & chronic idiopathic myelofibrosis.Whereas in primary thrombocytosis, splenomegaly is least likely associated ,but hemorrhagic & thrombotic events are common.

Reference :Harsh mohan textbook of pathology sixth edition pg no 360.